Gretaest psychiatric burden in society is due to?
1. Depression
2. Schizophrenia
3. OCD
4. Alcohol abuse

Correct answer: 1. Depression

Explanation: ANSWER: (A) Depression.REF: style="font-size: 1.04761904761905em; font-family: Times New Roman, Times, serif; margin: 0 0 8pt 8px; text-indent: 0; text-align: left">Psychiatric disorders contribute 33% of years lived with daily depression contributes to maximum burden followed by problems due to alcohol